Pleural fluid LDH / Serum fluid LDH ratio is _____, to in exudation pleural effusion
1. > 0.3
2. > 0.5
3. > 0.6
4. > 0.8

Correct answer: 3. > 0.6

Explanation: Pleural Fluid LDH is > 2/3rd of serum LDH in exudative pleural effusion. Hence Pleural Fluid LDH / Serum LDH is > 0.6.